Waves on EEG during stage 4-NREM period of sleep is: (Repeat)
1. Alpha
2. Beta
3. Delta
4. Theta

Correct answer: 3. Delta

Explanation: Ans: C (Delta) Ref: Pal GK, Reticular Formation, EEG and Steep, In: Textbook of Medical Physiology, Ahuja Publishing House 2007: 119:895Explanation:Non - REM Sleep (Slow Wave Sleep)Stage 1Beta to alpha rhythmStage 2Amplitude increasesSleep spindle (12-14Hz; 50pV; for about 2 Seconds) and K complexes (high amplitude )Stage 3High amplitude; low frequencyStage 4Delta rhythmAutonomic and visceral changes-| heart rate and BP| body temperatureSlow regular respiration| Gf activity| muscle toneNo rapid eye movement